What is the first line of management in malignant hyperthermia
1. Discontinue triggering agent
2. IV dantrolene 2.5 mg/kg
3. Administer bicarbonate
4. Institute cooling

Correct answer: 1. Discontinue triggering agent

Explanation: Dantrolene sodiumis thedrug of choicefor malignant hyperthermia but it is to be reconstituted withsterile distilled water, not saline as it can precipitate in saline or other salt solutions. It is given at a dose of2.5 mg/ kgintravenously and can be repeated every 5-10 minutes (upto 10mg/kg) till the attack subsides. All anesthetic agents should be cut off and the patient is given 100% oxygen. Bicarbonate at a dose of 1 to 4 mEq/kg IV can be used to treat metabolic acidosis. If the body temperature is high, it should be brought down using cold intravenous fluids, cooling body cavities with sterile iced fluids, surface cooling with ice packs and cooling blankets.